Remnant of mesonephric duct are all except
1. Paraoophoron
2. Epoophoron
3. Gamer's duct
4. Bartholin's duct

Correct answer: 4. Bartholin's duct

Explanation: The Bartholin's glands (also called Bartholin glands or greater vestibular glands) are two pea-sized compound racemose glands located slightly posterior and to the left and right of the opening of the vagina. They secrete mucus to lubricate the vagina and are homologous to bulbourethral glands in males. However, while Bartholin's glands are located in the superficial perineal pouch in females, bulbourethral glands are located in the deep perineal pouch in males. Their duct length is 1.5 to 2.0 cm and opens into navicular fossa. The ducts are paired and they open on the surface of the vulva